In a lacerated wound the hair bulb is -
1. Cut
2. Crushed
3. Both of the above
4. Lacerated

Correct answer: 2. Crushed

Explanation: Hair, hair bulb, nerve and vessels are crushed.